Recurrent interosseous artery is a branch of -
1. Posterior interosseous artery
2. Anterior interosseous artery
3. Radial artery
4. None

Correct answer: 1. Posterior interosseous artery

Explanation: Ans. is 'a' i.e., Posterior interosseous arteryInterosseous recurrent artery is a branch ofposterior interosseous artery.